Voricanazole is not effective against
1. Candida albicans
2. Mucormycosis
3. Candida tropicalis
4. Aspergillosis

Correct answer: 2. Mucormycosis

Explanation: Refer Harrison 17th/1243 Voricanazole is drug of choice for treatment of Aspergillosis. It can also be used for Candida species Mucormycosis is treated by Amphotercin B.Posaconazole can also be used